Defenition of Rape is defined under section
1. Sec 374 IPC
2. Sec 376A IPC
3. Sec 376B IPC
4. Sec 375 IPC

Correct answer: 4. Sec 375 IPC

Explanation: Sec 375 IPC defines rape Sec 376 IPC is explaining the punishment of rape. Ref: FORENSIC MEDICINE AND TOXICOLOGY Dr PC IGNATIUS THIRD EDITION PAGE 298